Glomus cells are found in
1. Bladder
2. Brain
3. Chemoreceptors
4. Kidney

Correct answer: 3. Chemoreceptors

Explanation: The glomus cells (type I) are specialized glandular-like cells, mainly located in the carotid bodies and aortic bodies, that control the respiratory activity.The glomus cells have a high metabolic rate and good blood perfusion and synapses directly or indirectly with nerve endings. Thus are sensitive to changes in arterial blood gas (specially to low pO2)(Ref: Guyton & hall, pg- 367)